Which of the following is a component of the visual pigment rhodopsin?
1. b-Carotene
2. Retinal
3. Ret
4. Retinoic acid

Correct answer: 2. Retinal

Explanation: Retinal is a component of visual pigment rhodopsin. Rhodopsin (mol. wt. 35,000 Daltons) plays the pivotal role in vision. It is a membrane protein found in the photoreceptor cells of the retina. Rhodopsin is made up of the protein opsin and 11-cis-retinal. Ref: DM Vasudevan - Textbook of Biochemistry, 8th edition, page no: 455